Ivermectin is a
1. Cysticide
2. Taenicide
3. Filaricide
4. Anti-amoebic

Correct answer: 3. Filaricide

Explanation: Ivermectin is the drug of choice for Strongyloides and Onchocerca volvulus. It is a filaricide (effective against W. bancrofti and malayi).Ivermectin, a semisynthetic macrocyclic lactone, a mixture of avermectin B1a and B1b. It is derived from the soil actinomycete Streptomyces avermitilisIvermectin is used only orally in humans. The drug is rapidly absorbed, reaching maximum plasma concentrations 4 hours after a 12mg dose. Ivermectin appears to paralyze nematodes and arthropods by intensifying g-aminobutyric acid (GABA)-mediated transmission of signals in peripheral nervesReference: Katzung Pharmacology; 13th edition; Chapter 53; Clinical Pharmacology of the Antihelminthic Drugs